Striated vertebrae is seen in WHICH OF THE FOLOWING CONDITION ?
1. TB spine
2. Hemangioma
3. Chordoma
4. Metastasis

Correct answer: 2. Hemangioma

Explanation: In Hemangioma there is loss of horizontal straition and prominence of vertebral straiation giving vertebra a typical striated appaerance on radiography Refer : MAHESWARI 9TH ED